High HDL cholesterol is seen in?
1. Abetalipoproteinemia
2. Hyperalphalipoproteinemia
3. Sitosterolemia
4. Dysbetalipoproteinemia

Correct answer: 2. Hyperalphalipoproteinemia

Explanation: Hyperalphalipoproteinemia Elevated Apo-A-I and Apo-A-II -Elevated HDL. Paradoxically have a higher incidence of heart disease. Abetalipoproteinemia Low cholesterol and triglycerides. Present in infancy with diarrhea and fat malabsorption. Neurological features develop with loss of DTR, reduced vibration and proprioception. Spastic gait develops with pigmentary retinopathy Sitosterolemia Due to inability to metabolise plant phyto-sterols. Multiple tendon xanthomas with normal cholesterol. Dysbetalipoproteinemia Presents with equal elevations of cholesterol and triglycerides Type III hyperlipidemia -Premature atherosclerosis.